Which waste cannot be incinerated-
1. Anatomic waste
2. Microbiology waste
3. Halogenated plastic
4. Infectious waste

Correct answer: 3. Halogenated plastic

Explanation: - wastes types not to be incinerated are; pressurized gas container or radiographic wastes. plastics sealed ampules wastes with mercury or cadmium content. Reference : Park's textbook of preventive and social medicine, 23rd edition, pg no:791